Least common thyroid malignancy is:
1. Papillary
2. Follicular
3. Medullary
4. Anaplastic

Correct answer: 4. Anaplastic

Explanation: Least common thyroid malignancy is anaplastic. Most common thyroid malignancy - Papillary > Follicular > Medullary > Anaplastic Papillary carcinoma - 80% occur in Iodine-sufficient areas and predominant thyroid cancer in children and individuals exposed to external radiation. Follicular carcinomas - 10% of thyroid cancers and occur more commonly in iodine-deficient areas. MTC- about 5% Anaplastic carcinoma- about 1%